50 year old male with positive family history of prostate cancer has come to you for a screening test. Which is the most sensitive screening test to pickup prostate cancer ?
1. DRE
2. PSA
3. DRE + PSA
4. Endorectal Coil MPJ with T, W and T2W images

Correct answer: 3. DRE + PSA

Explanation: The combination of digital rectal examination and PSA levels are the most sensitive screening test to pick up prostate cancer. Diagnosis of prostate cancer is based on symptoms, an abnormal DRE, a change or an elevated serum PSA levels. Ref: Harrison's Principles Of Internal Medicine, 16th Edition, PAge 544, 545/ 18th edition chapter 95; Current Surgical Diagnosis and treatment, By Gerard M Dohey, 12th Edition, Page1045, 46